Half-life of digoxin is?
1. 24 hours
2. 40 hours
3. 48 hours
4. 60 hours

Correct answer: 2. 40 hours

Explanation: Digoxin half-life is long -40 hrs It gets trapped in muscles and vd -volume of distribution is more elimination is difficult in cases of poisoning Ref: KD Tripathi 8th ed.